All of the following show low glucose in pleural fluid,except-
1. Empyema
2. Malignant pleural effusion
3. Rheumatoid arthritis
4. Dressler's syndrome

Correct answer: 4. Dressler's syndrome